Scaler tip or Instrument used on a patient suffering from Hepatitis B should be:
1. Clean with water for 2 minutes
2. Cleaned in water and then autoclaved
3. Instrument should be burnt in flame
4. Do cleansing with spirit only

Correct answer: 2. Cleaned in water and then autoclaved